Septic shock is most frequently triggered by -
1. Bacterial infections
2. Mixed infections
3. Fungal infections
4. Viral infections

Correct answer: 1. Bacterial infections

Explanation: The pathophysiology of septic shock is not entirely understood, but it is known that a key role in the development of severe sepsis is played by an immune and coagulation response to an infection. Septic shock involves a widespread inflammatory response that produces a hypermetabolic effect . Ref Davidson 23rd edition pg 346